All of the following are about Pediculosis capitis except
1. Intolerable itching in severe cases
2. Scalp may be secondarily infected
3. Lymph nodes of neck enlarged
4. Hair cut is essential for adequate treatment

Correct answer: 4. Hair cut is essential for adequate treatment

Explanation: Pediculosis Capitis (Head Lice) * Due to Pediculus humanus capitis, a bloodsucking, wingless insect * Feeds every 4-6 h; female lays 5-10 eggs/day close to scalp, cemented to hair * Presents as scalp pruritus with nits commonly found behind ears and at nape of neck Treatment:- Two applications 1 week apart of pediculicide * Malathion: organophosphate, flammable * Lindane: organochloride, not first line, neurologic toxicity (seizures, confusion, etc) * Permethrin: synthetic pyrethroid, resistance high * Pyrethrin: naturally occurring pyrethroid extract, resistance high. Ref:- Sima Jain; pg num:-244